A 49-year-old man notices weakness and numbness in his left hand. He had recently slipped on a wet floor and injured his elbow. Examination of the hand reveals predominantly weakness to abduction and adduction and sensory loss over the fourth and fifth fingers.For the above patient with muscle weakness, select the most likely anatomic site for the disorder
1. anterior horn cell
2. peripheral nerve
3. neuromuscular junction
4. muscle

Correct answer: 2. peripheral nerve

Explanation: Peripheral nerve disease is the most likely to cause distal weakness and is the only one of the four to also cause sensory symptoms.